Immediately after kidney donation what happens to the creatinine level in the donors -
1. Remains Same
2. Increases
3. Decreases
4. level in independent of the donation

Correct answer: 2. Increases

Explanation: Ans. is 'b' i.e., Increases o After kidney donation both the serum creatinine and creatinine clearance increase.